Spirometry can demonstrate and measure all of the following except
1. Tidal volume
2. Residual volume
3. Vital capacity
4. Inspiratory reserve capacity

Correct answer: 2. Residual volume

Explanation: Question repeated